Streptolysin O functionally & structurally related to -a) Tetanolysinb) Pneumolysinc) Streptolysin Sd) Clostridium perfringens O toxine) Listeriolysin
1. abcd
2. bcde
3. abde
4. ade

Correct answer: 3. abde